Fluorescein dye is used to stain
1. Disease and devitalized cells
2. Areas of denuded epithelium
3. Mucus
4. All of the above

Correct answer: 2. Areas of denuded epithelium

Explanation: Fluorescein dye is used to stain areas of denuded epithelium.
Rose Bengal stains disease and devitalized cells.
Alcian Blue stains the mucus.